A 27 year old male has itchy, excoriated papules on forehead and exposed parts of arms and legs for 3 years. The disease was most severe in rainy season and improved completely in winters. Most likely diagnosis is:
1. Scabies
2. Urticaria
3. Atopic dermatitis
4. Insect bite hypersensitivity

Correct answer: 4. Insect bite hypersensitivity

Explanation: D i.e. Insect bite hypersensitivity Scabies Insect Bite Hypersensitivity Atopic Prurigo Age Any Children: if adults rule out underlying malignancy or HIVQ AdultsQ (usually) Morphology Burrow (Pathognomic)Q Papulo-vesicles (itchy) Papules surmounted with vesicles or hemorrhagic crust (itchy) Papulonodules (pruritic) Distribution Webs of fingers, wrist, periumbilical area, genitals and thighs Exposed pasQ (mostly on legs) Flexures (mainly); face relatively spared Family history Present (similar lesions) Absent F/H of atophy, dry skin etc. present Worsening Summer>rainy Rainy season (sundry)Q, change in temperature, woolen clothingQ